In all of the following diseases chronic carriers are found except
1. Gonorrhea
2. Measles
3. Typhoid
4. Hepatitis B

Correct answer: 2. Measles

Explanation: Chronic carriers: A carrier who excretes bacilli for indefinite periods of time
– Typhoid – Dysentery
– Hepatitis B – Cerebrospinal meningitis
– Malaria – Gonorrhoea
There are no carriers in Measles